Which of the following is not a feature Eustachian tube in children
1. Wider and shorter shorter
2. Flaccid due to less elastin content
3. Ostmann's pad of fat is more in volume
4. Isthmus is straight in children

Correct answer: 3. Ostmann's pad of fat is more in volume

Explanation: The Eustachian tube in children is shorter (16-18mm), wider and more horizontal. It is also less taut due to lack of elastin. The above differences make the infant more prone for retrograde reflux of nasopharyngeal secretions and milk while feeding in supine position. Differences between Infant & adult ET INFANT ET ADULT ET Length 16-18 mm 36 mm Angle with horizontal 100 (more horizontal) Normalizes at 7yrs 450 Isthmus Straight Angulated Width Wider bony part Narrow Cartilage Flaccid Rigid Elastin at roof Less dense Very dense Ostmann's pad of fat Less in volume More in volume